Following are premalignant except -
1. Tubulo villous adenoma
2. Hyperplastic polyp
3. Familial adenomatosis
4. Villous adenoma

Correct answer: 2. Hyperplastic polyp

Explanation: Hyperplastic polyp has no malignant potential.